Mediator of acute inflammation not derived from cell is -
1. Histamine
2. Leukotrienes
3. Kinins
4. Cytokines

Correct answer: 3. Kinins

Explanation: . Kinins